A 13-year-old known asthmatic presents with severe wheezing and a respiratory rate of 40. Her pulse rate is 120. What is the next best step in management of this patient?
1. Oxygen and nebulised salbutamol
2. Oxygen and Metered dose inhaler of salmeterol
3. Oxygen and intravenous Aminophylline
4. Oxygen and Intravenous magnesium sulphate

Correct answer: 1. Oxygen and nebulised salbutamol

Explanation: For severe acute asthma | Oxygen & Nebulized salbutamol is recommended Other option- Oxygen and metered dose inhale of salmeterol - for prevention of asthma Oxygen and Intravenous aminophylline - cause toxicity Oxygen & IV Magnesium sulphate - not recommended now days